The arrangement of flagella in lophotrichous is
1. Single polar flagellum
2. Bipolar flagellum
3. Multiple polar flagellum
4. Distributed over the entire cell

Correct answer: 3. Multiple polar flagellum

Explanation: Bacterial flagella are thread-like appendages composed entirely of protein, 12-30 nm in diameter. They are the organs of locomotion for the forms that possess them. Three types of arrangement are known: monotrichous (single polar flagellum), lophotrichous (multiple polar flagella), and peritrichous (flagella distributed over the entire cell).Ref: Jawetz; 27th edition; Page no: 32